a 30 year old male was rushed to the emergency department after suffering a stab wound over the anterior chest wall. The injury was present on the left side in the midclavicular line. CT-scan revealed penetrating injury through the lower border of the left lung. The wound is likely to be present at the level of
1. 12th rib
2. 10th rib
3. 8th rib
4. 6th rib

Correct answer: 4. 6th rib

Explanation: The lower border of the lung in the midclavicular line is at the level of 6th rib. Surface markings for lungs and pleura Level Costodiaphragmatic line (inferior border of pleura) Lower border of lung (2 ribs higher) Mid-clavicular line 8th rib 6th rib Mid-axillary line 10th rib 8th rib Paravertebral line 12th rib 10th rib Ref: Gray's Anatomy 41st edition Pgno: 904